Lyophilised (Freeze dried) vaccine do not include:-
1. BCG
2. OPV
3. Measles
4. JE Live vaccine

Correct answer: 2. OPV

Explanation: Lyophilized ( freezed dried ) vaccine:- Available in Powder form Examples:- BCG Yellow Fever Japanese Encephalitis HiB Require Saline Measles MMR Distilled water / saline water - Reconstructed vaccines should be used before 4hrs other wise they may case Toxic shock syndrome.